Drug of choice for acyclovir resistant herpes is?
1. Cidofovir
2. Gancyclovir
3. Valacyclovir
4. Foscarnet

Correct answer: 4. Foscarnet

Explanation: Ans. (d) FoscarnetRef KDT 6/e